A farmer who is working in poultry developed acute onset of fever with chills. On physical examination, there is hepatosplenomegaly and lymphadenopathy. Blood culture shows Brucella abortus. He must have got the infection through all the following ways, EXCEPT:
1. Infected meat
2. Ingestion of raw milk
3. Man to man
4. Contact with aborted fetuses

Correct answer: 3. Man to man

Explanation: The infection is transmitted from animals to humans. Brucella abortus (cattle), B suis(hogs), and B melitensis (goats) are the main agents. Transmission to humans occurs by contact with infected meat (slaughterhouse workers), placentae of infected animals (farmers, veterinarians), or ingestion of infected unpasteurized milk or cheese. Ref: Schwartz B.S. (2014). Chapter 33. Bacterial & Chlamydial Infections. InPapadakis M.A., McPhee S.J., Rabow M.W. (Eds), CURRENT Medical Diagnosis & Treatment 2014.